Which of the following drugs is most effective for control of orthostatic hypotension:
1. Clonidine
2. Fludrocortisone
3. Esmolol
4. Phenylephrine

Correct answer: 2. Fludrocortisone